Hb - Barts is
1. α2 β2
2. αo β4
3. αo γ4
4. α2 γ2

Correct answer: 3. αo γ4

Explanation: Option a - HbA
Option b - HbH
Option d - HbF.